Koebner phenomenon is characteristic of
1. Psoriasis
2. Pemphigus
3. Pityriasis roscea
4. Lupus vulgaris

Correct answer: 1. Psoriasis

Explanation: Koebner's phenomenon or isomorphic phenomenon is a term applied when localized non-specific trauma provokes lesions of dermatosis. It is seen characteristically in psoriasis, lichen planus, and vitiligo. Symptoms of Koebner phenomenon Koebner noted that some people with psoriasis developed lesions in areas in which the skin had been traumatized. This could be from a cut, a bruise, or a burn. Lesions may also develop on parts of the body where the skin is irritated by a waistband, belt buckle, or bra strap. In all these cases, the lesions appeared in areas outside of the usual spots affected by psoriasis Pseudo Koebner phenomenon seen in molluscumcontagiosum and warts (Ref: Harrison 20th edition pg 1267